All of the following are associated with increased ageing, except
1. Enlargement of telomere
2. Decrease in number of mitochondria
3. Glycosylation of DNA
4. Glycosylation of RNA

Correct answer: 1. Enlargement of telomere